Antidote for organophosphorus poisoning is -
1. PAM
2. Adrenaline
3. Anti-dopaminergics
4. Ephedrine

Correct answer: 1. PAM

Explanation: Antidotes for OP compounds : (1) atropine (2) oximes (Pralidoxime : PAM, obidoxime and diacetylmonoxirne : DAM).